True statement about parotid gland
1. It is a mucinous gland
2. Receives secretomotor fibres from vagus nerve
3. Covered by a dense fascia which is derived from deep cervical fascia
4. Facial nerve exits the gland anteromedially before dividing into 5 branches

Correct answer: 3. Covered by a dense fascia which is derived from deep cervical fascia

Explanation: The parotid is the largest of the salivary glands.It weighs about 15 g.It is situated below the external acoustic meatus,between the ramus of the mandible and the sternocleidomastoid.The gland overlaps these structure.Anteriorly,the gland also overlaps the masseter muscle.A part of this forward extension is often detached,and is known as the accessory parotid and it lies between the zygomatic arch and the parotid duct. Ref BDC volume:3,6th edition